Drug of choice in PSVT is
1. Amiodarone
2. Lingnocaine
3. Quinidine
4. Adenosine

Correct answer: 4. Adenosine

Explanation: Table 276-3 Adenosine 6-18 mg (rapid bolus) N/A Terminate reentrant SVT involving AV node --ref Harrison 20th edition pg 1435